The following are rheumatoid disease modifying drugs except-
1. Chloroquine
2. Gold
3. Penicillamine
4. BAL

Correct answer: 4. BAL